Thiamine is NOT used in which of the following biochemical reactions?
1. Lactate to pyruvate
2. Alpha Ketoglutarate to succinyl CoA
3. Glucose to pentose
4. Oxidative decarboxylation of alpha keto amino acids

Correct answer: 1. Lactate to pyruvate

Explanation: TPP is required for the oxidative decarboxylation of alpha ketoglutarate to succinyl CoA and CO2. Transketolase in HMP shunt pathway of glucose uses thiamine. Main role of thiamine is in the carbohydrate metabolism. It is required for the activity of enzyme pyruvate dehydrogenase which catalyses the conversion of pyruvate to acetyl CoA and CO2. Deficiency manifestations of Thiamine: Wet Beriberi: Patients have cardiovascular manifestations such as edema of legs, face, and serous cavities. Dry Beriberi: Patients have CNS manifestations such as peripheral neuritis with sensory disturbance. Wernicke Korsakoff syndrome: Clinical features includes encephalopathy plus psychosis. Polyneuritis Ref: Textbook of Biochemistry for Medical Students By Dm Vasudevan page 391. Textbook of Biochemistry for Dental Students By Vasudevan page 157.